New WHO ORS osmolarity is
1. 245
2. 270K. Park 22/e p203
3. 290
4. 310

Correct answer: 1. 245